Ascoff's bodies are seen in -
1. Rheumatic myocarditis
2. Rheumatic arthritis
3. Bacterial endocarditis
4. Marantic endocarditis

Correct answer: 1. Rheumatic myocarditis

Explanation: Ans. is 'a' i.e., Rheumatic myocarditis